All of the following are features of juvenile Myoclonic epilepsy, EXCEPT
1. Myoclonus on awakening
2. Generalized tonic-clonic seizures
3. Automatism
4. Absence seizures

Correct answer: 3. Automatism

Explanation: Answer is C (Automatism): 169. Automatism is not seen in Juvenile myoclonic epilepsy Juvenile myoclonic epilepsy is an epilepsy syndrome.' Epilepsy syndromes are disorders in which epilepsy is a predominant feature and there is sufficient evidence to suggest a common underlying mechanism.